QT interval is shortened in -
1. Hypocalcaemia
2. Hypokalemia
3. Hypercalcemia
4. Hyperkalemia

Correct answer: 3. Hypercalcemia